Wilson's KF ring is associated with following
1. Oil drop cataract
2. Rosette cataract
3. Snow Flake cataract
4. Sun Flower cataract

Correct answer: 4. Sun Flower cataract

Explanation: (D) Sun Flower cataract# Wilson's disease is an autosomal recessive, multisystem disorder due to impaired hepatic excretion of copper.> There is excessive accumulation of copper in the CNS, liver, kidneys, cornea, and other organs.> This accumulating copper leads primarily to damage of the liver and brain.> Predominant presentation includes dystonias, tremor, dysphasia, dysarthria, gait & limb ataxia, and neuropsychiatric manifestations> Kayser-Fleischer ring, a brownish coloration of the outer margin of the cornea in Descemef s membrane, is diagnostic of Wilson's disease, which regresses on treatment with metal chelating drugs.> Sunflower cataract was first described in Wilson's disease by Seimerling and Oloff.# Types of cataracts: Blunt trauma/Concussion (Rosette Cataract) Infrared irradiation (Glass Blower's Cataract) Diabetes (Snow Storm Cataract) Galactosemia (Oil Drop Cataract) Wilson's Disease Chalcosis, Penetrating trauma with retention of Cu (Snow flake /Sunflower/ Petals of flower Cataract) Atopic Dermatitis (Syndermatotic Cataract) Posterior Subcapsular (Cupuliform) Congenital (Coronary, Coralliform, etc) Senile (Cuneiform) Blue-Dot (Cataracta caerulea) Black (Cataracta nigra) Brown (Cataracta brunescnence) Red (Cataracta rubra) Vossious ring on anterior surface of lens, Myotonia dystrophia (Christmas tree cataract) Dust like lenticular opacity Galactosemia (Oil drop cataract) (Posterior cortical) bread crumb appearance, Polychromatic luster/Rainbow cataract Complicated cataract (secodary to any eye diseases) Hypermature Senile cataract (Morgagnian cataract)